Prostatic carcinoma commonly arises from:
1. Central zone
2. Peripheral zone
3. Transitional zone
4. None of the above

Correct answer: 2. Peripheral zone

Explanation: Ans: B i.e. Peripheral zoneZones of prostate & clinical impoanceCentral zone (CZ) lies posterior to the urethral lumen & above the ejaculatory ducts.Peripheral zone (PZ) lies posteriorly & from this, most carcinoma arisesThere is a periurethral transitional zone (TZ), from which most benign prostatic hyperplasia (BPH) arises.